Ross classified five stages of :
1. Schizophrenia
2. Delusion
3. Death
4. None

Correct answer: 3. Death

Explanation: C i.e. Death Kubler Ross classified five stages of deathQ that dying patients pass through from the time they first become aware of their fatal prognosis together actual death Denial (No, not me) Anger (Why me) Bargaining (Yes me, but) Depression (yes me) Acceptance Mn- "DABDA"